A patient came with abduction limitation of right eye and horizontal diplopia. Which nerve can possibly be paralyzed
1. 2nd Nerve
2. 3rd Nerve
3. 4th Nerve
4. 6th Nerve

Correct answer: 4. 6th Nerve

Explanation: Lateral rectus Palsy 1. Lesion of Abducens nerve 2. Abduction limitation due to paralysis of lateral rectus 3. Convergent squint and diplopia (horizontal) on long standing palsy. 4. Patient present with turn towards the side of affected muscle Associations Millard Gubler syndrome: Ipsilateral 6th nerve palsy with contralateral hemiplegia Mobius Syndrome O Expressionless face O Facial palsy O 6th and 7th cranial Nerve involved O Lateral rectus paralyzed O Missing fingers & Bone abnormalities O The muscle weakness also causes problems with feeding that become apparent in early infancy. O Hypotonia O Intelligence is normal O Cleft palate O Missing and misaligned teeth